All of the following are potassium sparing diuretic EXCEPT:
1. Spironolactone
2. Triamterene
3. Indapamide
4. Amiloride

Correct answer: 3. Indapamide

Explanation: Ans. (c) IndapamideRef. KDT 6th ed. / 540Diuretic classDrugsMOASite of actionOsmotic diureticMannitolInhibit water and solute reabsorptionAll part of tubule, but mainly proximal tubuleLoop diuretics* Furosemide* TorsemideInhibit Na+- K+-2CI co- transportThick ascending loop of henleThiazide diuretic* Hydrochlor thiazide* Benzthiazide* Chlorthalidone* IndapamideInhibit Na+- CI co- transportDistal tubuleK+ sparing diuretic* Spironolactone* Triamterene* Amiloride* Decrease Na+ reabsorption* Decrease K+ secretionCollectingtubuleCarbonic anhydrase inhibitorAcetazolamideInhibit H+ secretion and HCO3 reabsorption, which reduces Na+ reabsorptionProximaltubule